Seton’s procedure is treatment for
1. Hemorrhoids
2. Fissure in ano
3. Fistula in ano
4. Pilonidal sinus

Correct answer: 3. Fistula in ano

Explanation: It is used for high lying fistula in ano.